Ross classified five stages of -
1. Schizophrenia
2. Delusion
3. Death
4. None

Correct answer: 3. Death

Explanation: Kubler-Ross postulated five stages that many dying patient pass through from the time they first become aware of their fatal prognosis to their actual death.